Calcific hepatic metastases are seen in –
1. Adenocarcinoma of the colon
2. Carcinoid tumours
3. Renal cell carcinoma
4. Lymphoma

Correct answer: 1. Adenocarcinoma of the colon

Explanation: A calcified pattern in hepatic metastasis is commonly due to mutinous adenocarcinoina of colon or ovary.